Apremilast is
1. PDE 3 inhibitor
2. PDE 4 inhibitor
3. PDE 5 inhibitor
4. PDE 6 inhibitor

Correct answer: 2. PDE 4 inhibitor

Explanation: Ustekinumab, a monoclonal antibody to the shared IL-23/IL-12p40 subunit, is an efficacious treatment for psoriasis and has shown promise in Psoriatic arthritis in clinical trials. Other newer drugs that have shown efficacy for both psoriasis and PsA include the anti-IL-17 pathway agents, such as secukinumab and brodalumab, and an oral phosphodiesterase-4 inhibitor, apremilast. Data on the oral Jak inhibitor, tofacitinib, has been very limited but promising. Ref: Harrison's Principles of Internal Medicine; 20th ed KD TRIPATHI 9th ed